Thoracic outlet syndrome is primarily diagnosed by:
1. Clinical Evaluation
2. CT scan
3. MRI
4. Angiography

Correct answer: 1. Clinical Evaluation

Explanation: • TOS refers to compression of subclavian vessels and nerves of the brachial plexus in the region of the thoracic inlet.
• Divided into: Vascular forms (Arterial and /or Venous) and Neurogenic forms
• Compression resulting from TOS is dynamic and best evaluated clinically by mechanical provocative maneuvers
• Symptoms most commonly develop secondary to neural compromise
• Middle-aged women are most commonly affected